Most common functional neuroendocrine tumor of pancreas in MEN1:
1. Glucagonoma
2. Gastrinoma
3. VIPoma
4. Somatostatinoma

Correct answer: 2. Gastrinoma

Explanation: NEURO ENDOCRINE TUMORS (NET) OF PANCREAS M/c Neuroendocrine tumor (NET): Non- functional (PPoma) M/c functional Neuroendocrine tumor: Insulinoma M/c functional & malignant NET in MEN 1: Gastrinoma. MC Functional Enteropancreatic NET in MEN 1 - Gastrinoma > Insulinoma SRS- Somatostatin receptor scintigraphy- IOC for All of the neuroendocrine tumors except Insulinoma